Which one of the following is a good index of the severity of an acute disease?
1. Case fatality rate
2. Cause specific death rate
3. Standardized mortality ratio
4. Five year survival

Correct answer: 1. Case fatality rate

Explanation: Case fatality rate measures the killing power of a disease, for acute infectious diseases like food poisoning, cholera, measles.
It is simply the ratio (it is not  a RATE) of deaths to cases.